Crown root ratio in Permanent dentition is
1. 1:04
2. 1:02
3. 1:03
4. 1:01

Correct answer: 2. 1:02